Drugs indicated in MRSA infection are all except:
1. Vancomycin
2. Teicoplanin
3. Linezolid
4. Imipenem

Correct answer: 4. Imipenem

Explanation: Ans: D i.e. Imipenem Drugs and indications Vancomycin is the preferred surgical prophylactic in MRSA prevalent areas and in penicillin allergic patients Teicoplanin is indicated in enterococcal endocarditis (along with gentamicin); MRSA and penicillin resistant streptococcal infections, osteomyelitis and as alternative to vancomycin Linezolid is active against MRSA and some VRSA, VRE, penicillin-resistant Strep. Pyogenes, Strep. viridians and Strep. Pneumonia, M. tuberculosis, Corynebacterium, Listeria, Clostridia and Bact. Fragilis Imipenem (with cilastatin) has proved effective in a wide range of serious hospital acquired infections including those in neutropenic, cancer and AIDS patients